Which of the following is not a sign of appendicitis?
1. Rovsing s sign
2. Murphy s sign
3. Obturator sign
4. Psoas sign

Correct answer: 2. Murphy s sign

Explanation: Ans. (b) Murphy's signRef: Sabiston 19thed ch-49